All of the following are Integrin molecules except____.
1. LFA-1
2. MAC-1
3. VLA-4
4. CD 31

Correct answer: 4. CD 31

Explanation: Platelet endothelial cell adhesion molecule-1 (PECAM-1) (also called CD31), an adhesion molecule of the immunoglobulin (Ig) superfamily  expressed  on  leukocytes  and  endothelial  cells,  mediates the binding events needed for leukocytes to traverse the endothelium.